Ideal inhalational inducing agent of choice is?
1. Halothane
2. Desflurane
3. Sevoflurane
4. Isoflurane

Correct answer: 3. Sevoflurane

Explanation: Ans is c' i.e. Sevoflurane * Inhalational agent of choice for induction is sevoflurane* Unlike desflurane it poses no problem in induction, acceptability is good even by pediatric patients inducing agent of choice in children* Usually induction is done by intravenous anaesthetic agent, However sometime either it is not possible e.g., where i.v., access is difficult to obtain or it is not accepted (by children). In these situations induction is done byan inhalational agent through face mask.Also know* Propofol is the most frequently used IV anesthetic for induction. Thiopentone is the second most commonly used agent.